Which of the following does not form portal triad in liver
1. Hepatic artery
2. Hepatic vein
3. Bile duct
4. Portal vein

Correct answer: 2. Hepatic vein

Explanation: Ans. is 'b' i.e., Hepatic vein Histology of the Livero Liver is covered by Glisson's capsule.o Liver is divided into hexagonal lobules oriented around the terminal tributaries of the hepatic vein (Terminal hepatic veins), i.e. Terminal hepatic vein is in the centre of the lobule and area around the hepatic vein is called centrilobular zone.o At periphery of lobule, lies the portal tract containing hepatic artery, bile duct and portal vein. Area around portal tract is called periportal zone.o These three structures (portal vein, hapatic artery and bile duct) form portal triad.o Area between periportal zone and centrilobular zone is called midzonal area,o All around the central vein are the major parenchymal cells, i.e. hepatocytes.o Lobule contains sinusoid (sinusoidal capillaries) which have fenestrated endothelium covering the subendothelial space of Disse. This space contains stellate cell processes and hepatocellular microvilli,o Other important cells of liver are Kupjfer cells, which belong to monocytic-macrophage sytem and function as phagocytic cells.